Non -proliferative Glomerulonephritis include all of the following, Except:
1. Focal Segmental Glomerulonephritis (FSGS)
2. Mesangiocapillary Glomerulonephritis
3. Membranous Glomerulonephritis
4. Amyloidosis

Correct answer: 2. Mesangiocapillary Glomerulonephritis

Explanation: Answer is B (Mesangiocapillary Glomerulonephritis) Mesangiocapillary Glomerulonephritis is the other name for Membranoproliferative glomerulonephritis. It is a type of proliferative Glomerulonephritis. Proliferative changes in Glomerulonephritis Glomerulus contains Endothelial cells, Epethelial cells, and Mesangial cells. Any of the three cell types may undergo proliferation in different types of Proliferativ Glomerulonephritis. Proliferative changes are not limited to Membranoproliferative and Mesangioproliferative Glomerulonephritis, hut may be seen in several other. forms of Glomerulonephritis